According spaulding classification system of sterilization, following is true except -
1. "Non-critical devices" come into contact with intact skin
2. Semicritical equipment need low-level sterilization
3. "Semi-critical devices" come into contact with non-sterile mucous membranes or non-intact skin
4. Cardiac catheter is critical equipment

Correct answer: 2. Semicritical equipment need low-level sterilization

Explanation: Clinical device Definition Example Infectious risk Critical device Medical device intended to enter a normal sterile environment, tissue or vasculature Surgical Instruments, cardiac and urinary catheters, Implants, eye & dental instruments, High (to be sterilized) Semi-critical device Medical device intended to come in contact with mucous membranes or minor skin breaches Respiratory therapy & anaesthesia equipments, endoscopes, laryngoscope, tonometers, rectal/vaginal /esophageal probes etc. High, Intermediate (sterlized / HLD) Non- critical devices Medical devices that comes in contact with intact skin BP cuff, ECG electrodes, bedpans, crutches. Stethoscope, thermometer Low (ILD/LLD) Medical equipments Device or component of a device that does not typically come in direct contact with patient Examination table, computers Low (LLD)